True statements regarding Depolarizing muscle relaxant are all EXCEPT:
1. Cause muscle fasciculation
2. No fade
3. Reversed by neostigmine
4. No post tetanic facilitation

Correct answer: 3. Reversed by neostigmine

Explanation: Ans. C i.e. Reversed by neostigmine Muscle relaxants Depolarizing muscle relaxants (Succinylcholine): - Usually short acting, - No tetanic fade, - No post tetanic facilitation Non-depolarizing muscle relaxant (Mivacurium): Post tetanic facilitation seen, - Diaphragm is resistant to non-depolarizing agents, - Train of four fade present - Muscle fasciculation absent